Oligospermia caused by-
1. Methotrexate
2. Hydroxychloroq uine
3. Leflunomide
4. D-penicillamine

Correct answer: 1. Methotrexate

Explanation: Ans. is 'a' i.e., Methotrexate"Transient but reversible oligospermia has been reported in males receiving high dose methotrexate for cancer chemotherapy".Defective oogenesis or spermatogenesis "Occurs in methotrexate therapy"